A patient with abdominal pain shows "coffee bean" sign in plain abdominal X-ray. He probably have:
1. Colon carcinoma
2. Duodenal atresia
3. Acute pancreatitis
4. Sigmoid volvulus

Correct answer: 4. Sigmoid volvulus

Explanation: Sigmoid volvulus is a closed-loop colonic obstruction due to twisting along the mesenteric or long axis of the bowel. Although colonic volvulus is not common, about 90% of cases occur in the sigmoid colon. On plain abdominal films, the sigmoid volvulus forms an inverted U-shaped structure with the twisted sigmoid loops lying adjacent and having an oval appearance called the "coffee bean" sign. On barium enema examination, tapered obstruction of the sigmoid colon is found. Ref: Ott D.J. (2011). Chapter 10. Gastrointestinal Tract. In M.Y. Chen, T.L. Pope, D.J. Ott (Eds), Basic Radiology, 2e.